`S' component of SAFE-
1. Screening
2. Surgery
3. Steroids
4. None

Correct answer: 2. Surgery

Explanation: SAFE strategy developed by the WHO is the key to the treatment of trachoma. This consists of Surgery (S) on the lids. Antibiotics to treat the community pool of infection (A), Facial cleanliness (F); and Environmental changes (E).